In patients with leprosy, lepromin test is performed after injecting intradermally 0.1 ml of lepromin. This test is used for:
1. Treatment
2. Prognosis
3. Diagnosis
4. Epidemiological investigations

Correct answer: 2. Prognosis

Explanation: Lepromin test is not a diagnostic test, as it may give positive result in normal subjects and negative results in lepromatous and near-lepromatous cases. Uses of Lepromin test: To evaluate the immune status (cell mediated immunity) of leprosy patients In classifying the disease To estimate the prognosis of leprosy patients Ref: Park's Textbook of Preventive and Social medicine, 19th edition, Page 271.